The presence of Negri inclusion bodies in host cells is characteristic of?
1. Mumps
2. Infectious mononucleosis
3. Rabies
4. Congenital rubella

Correct answer: 3. Rabies

Explanation: The definitive diagnosis of rabies in humans is based on the finding of Negri bodies, which are cytoplasmic inclusions in the nerve cells of the spinal cord and brain, especially in the hippocampus. Negri bodies are eosinophilic and generally spherical in shape; several may appear in a given cell. Negri bodies, although pathognomonic for rabies, are not found in all cases of the disease. Also Know: The rabies virus is a bullet-shaped, enveloped, RNA virus, 180 by 70 nm, of the Lyssavirus genus within the Rhabdovirus family. Ref:Ray C.G., Ryan K.J. (2010). Chapter 17. Rabies. In C.G. Ray, K.J. Ryan (Eds),Sherris Medical Microbiology, 5e